If parents are carrier for an autosomal recessive disorder. What are the chances of offspring to get affected-
1. 1:01
2. 1:02
3. 1:03
4. 1:04

Correct answer: 4. 1:04

Explanation: Ans. (d) 1:4(Ref: Robbins 9th/pg 141; 8th/pg 141)Therefore, if parents are carriers for an autosomal recessive disorder, the chances of offspring to get affected is 1:4 or 25%